In Iridocyclitis, the pupil is:
1. Dilated
2. Constricted
3. Constricted and irregular
4. No change in size of pupil

Correct answer: 3. Constricted and irregular

Explanation: Ans. C i.e. Constricted & irregular